Structure forming the Posterior 1/3 of vertebral canal is
1. Posterior Longitudinal Ligament
2. Ligamentum Flavum
3. Posterior 1/3 of Vertebral Body
4. Posterior 1/3 of Intervertebral Disc

Correct answer: 2. Ligamentum Flavum

Explanation: At tip of spine of vertebra there is Supra-Spinous Ligament Inter-Spinous Ligament b/w two spines & Ligamentous Flavum - ligament connecting lamina of vertebral arch superiorly to next adjacent vertebra (gives elasticity to vertebral canal) forming post 1/3rd of vertebral canal.